All are true about transverse fracture of temporal bone Except
1. Facial nerve commonly involved
2. Sensorinueral deafness
3. Conductive deafness
4. These fractures are less common

Correct answer: 3. Conductive deafness

Explanation: Transverse fracture of the temporal boneFacial nerve palsies (disruption of fallopian canal containing the facial nerve)Sensorineural hearing loss (disruption of VInjury to the internal carotid artery and/or jugular veinFracture through the tegmen tympani results in otorrhoea